The protein which has structural homology with plasminogen and is responsible for myocardial infarction and stroke -
1. HDL
2. LP(a)
3. LDL
4. Homocysteine

Correct answer: 2. LP(a)

Explanation: Answer- B. LP(a)Lp(a) has structural homology to plasminogen because of apoprotein(a) of Lp(a).